A patient presents with melaena. normal renal function, hypertension and mononeuritis multiples. The most probable diagnosis is
1. Classical polyarteritis nodosa
2. Microscopic polyangiitis
3. Henoch-Schonlein purpura
4. Buerger's disease

Correct answer: 1. Classical polyarteritis nodosa